All of the lollowing pelvic structures support the vagina, except :
1. Psrineal body
2. Pelvic diaphragm
3. Lavator ani muscle
4. Infundibulopelvic ligament

Correct answer: 4. Infundibulopelvic ligament

Explanation: InlundibulopEURlvic ligament Ans. is d i.e. Infundibulopelvic ligament Ref. Jeffcoate 7/e, p 46; CGDT 10/e, p 49 Vagina is strong canal of muscles (- 7.5 cm long) which extends from the uterus to the vestibule of the external genitalia, where it opens to the exterior. The cervix of the uterus projects into its upper part and towards its lower end, vagina pierces the urogenital diaphragm and is surrounded by the 2 bulbocavernosus muscles which act as a sphincter (sphincter vaginae). Our question is related to the supports of vagina. Before going into its details lets have a second look at the options. All the options given in the question are somehow related to vagina therefore may have a role in supporting vagina except the infundibulopelvic ligaments. l7fundibulopelvic ligament attach the ovary to the lateral pevlic wall and supporta the ovary, but has no connection to the vagina or uteriiinererore does not support either structures. So, by exclusion, our answer is infundibulopelvic ligament. Now, coming on to the details of supports ol vaglna ?Vagina is supported in the lower part as is evident lrom the diagram by: i. Bulbocavernosus muscle (at the level of introitus). ii. Urogenital diaphragm. iii. Perineal muscles iv. Levator ani muscles (known as pelwc dnphragm) support the lower 1/3 of vagina. ln its upper part : vagina is supported by (see the ctiag) : Ca'dinal ligament (also called as lrarsverse cetvtcal hgament). The anterior wall of vagina, urethra and bladder base are supported by : PuboceNical fascia. The poster or wall of vagrna is supported by : Penneal body.